Most common cause of diarrhea in children of developing countries is:
1. EHEC
2. ETEC
3. EAEC
4. EIEC

Correct answer: 2. ETEC

Explanation: ETEC Most frequent bacterial cause of diarrhea in children of developing countries. Most common cause of traveler's diarrhea. EPEC Cause infantile diarrhea (outbreaks) Rarely sporadic diarrhea in adults.